Which of the following food is having the highest protein content when compared to others?
1. Mutton
2. Soya bean
3. Egg
4. Milk

Correct answer: 2. Soya bean

Explanation: Protein value of some common foods (g/100 g): Mutton 21.4 Fish 19.5 Egg (hen) 13.3 Liver goat 20 Cow's milk 3.2 Soya bean 43.2 Bengal gram 17.1 Ref: Textbook of Preventive and Social Medicine by K Park, 19th edition, Page 498.